Test used for diagnosis of congenital syphilis:
1. IgMFTA
2. VDRL
3. TPI
4. Kahn flocculation test

Correct answer: 1. IgMFTA

Explanation: Ans. (a) IgMFTA